Best method of sterilizing disposable syringes:
1. Hot air oven
2. U.V. rays
3. Gamma rays
4. Boiling

Correct answer: 3. Gamma rays